Drugs which produce gynaecomastia are all EXCEPT :
1. Cimetidine
2. Digoxin
3. Cortisol
4. Spironolactone

Correct answer: 3. Cortisol